The spinal nerve pairs are :
1. 28
2. 30
3. 31
4. 33

Correct answer: 3. 31

Explanation: C i.e. 31